Level of residual chlorine after one hour
1. l mg/L
2. 1.5 mg/L
3. 0.5 mg/L
4. 2 mg/L

Correct answer: 3. 0.5 mg/L